Primary ciliary dyskinesia is associated with all except-
1. Sterility in males
2. Hypothyroidism
3. Sinusitis
4. Respiratory infection

Correct answer: 2. Hypothyroidism